Chemical peeling is done by all except
1. Trichloroacetic acid
2. phosphoric acid
3. Carbolic acid
4. Kojic acid

Correct answer: 2. phosphoric acid

Explanation: chemical peel:-Simple office procedure in which a chemical agent of defined strength is selected according to requirement and applied on skin in controlled manner. Followed by peeling of skin.Agents used:-Glycolic acid Lactic acidMandelic acid Salicylic acidTCAKojic acid Pyruvic acidJessner's solution Retinoic acidResorcinol and phenol. {Reference: IADVL textbook of dermatology,page 1679